The number of Anganwadi workers supervised by a Mukhyasevika is:
1. 10
2. 15
3. 25
4. 30

Correct answer: 3. 25

Explanation: MukhyaSevika is a middle level supervisor. She supervises 20 to 25 Anganwadi workers. She is required to be a graduate in social work or home science or a related field. She is trained for three months. Ref: Health policies and programmes in India, D.K. Taneja 11th edition page: 312